A patient with acute inferior wall myocardial infraction has developed shock. Which of the following is the most likely cause of shock
1. Cardiac rupture
2. Interventricular septal perforation
3. Papillary muscle rupture
4. Right ventricular infraction

Correct answer: 4. Right ventricular infraction

Explanation: Ref Harrison 19 th ed pg 1599 Right ventricular infraction presents as hypotension with relatively preserved left ventricular function and should be considered whenever patients with inferior infraction exhibit signs of low cardiac output and raised venous pressure (shock).